Histological marker for dentin presence is
1. NESTIN
2. ARESTIN
3. BETA MICRO GLOBULIN
4. DENTRIN

Correct answer: 1. NESTIN